A patient presents with B/L proptosis, heat intolerance and palpitations; most unlikely diagnosis here would be
1. Hoshimoto's thyroiditis
2. Thyroid adenoma
3. Diffuse thyroid goitre
4. Reidel's thyroiditis

Correct answer: 4. Reidel's thyroiditis

Explanation: Answer is D (Reidel's thyroiditis) : Reidel's thyroiditis is usually a consistently hypothyroid condition. The patient in the given question is presenting with symptoms of Hyperthyroidism. The condition, most unlikely to produce the picture is the one where hyperthyroidism is not a feature, not even transient. Reidel's thyroiditis is one such consistently hypothyroid condition. Thyrotoxicosis is usual with thyroid adenoma and diffuse thyroid goitre and Hashimoto's thyroiditis can present with transient hyperthyroidism. Hashimoto's Thyroiditis (Auto immune): In this variant, mild hyperthyroidism may be present initially, although hypothyroidism is inevitable. Hypothyroidism may develop rapidly or extremely slowly. The initial phase of hyperthyroidism may account for the symptoms in the given patient. Thyroid adenoma, diffuse toxic goitre or Grave's disease, toxic nodular goitre, toxic nodule: All are causes of thyrotoxicosis & explain the symptoms of thyrotoxicosis in the above patient. 733/L&B Riedle's thyroiditis is a very rare disease wherein , the thyroid tissue is replaced by cellular fibrous tissue. The goitre may be unilateral or bilateral & is very hard and fixed. This condition presents with features of hypothyroidism. Hyperthyroidism is not manifested, not even transiently. The differential diagnosis is from an anaplastic carcinoma & can be made with certainity only by biopsy. Diffuse thyroid goitre :Most commonly presents with a euthyroid status however patients may present with hyperthyroidism.